Widmark's formula helps in the measurement of blood level of -
1. Cocaine
2. Alcohol
3. Barbiturates
4. Benzodiazepines

Correct answer: 2. Alcohol

Explanation: The Widmark formula is provided in equation is a = cpr. Where a = amount of alcohol in grams absorbed in body, c = concentration of alcohol in blood in grams/kg, p = weight of person in kilogram and r = constant. In men, the constant is 0.68 and in women it is 0.55. * For urine analysis, the formula is a = 3/4 qpr. The other factors are same and q = concentration of alcohol in urine in grams/liter. REF;THE SYNOPSIS OF FORENSIC MEDICINE:KS NARAYANA REDDY;28th EDITION;PAGE NO 330